The three main vertical pillars of trajectories of force arising from the alveolar process and ending in the base of the skull are all except:
1. Canine pillar
2. Zygomatic pillar
3. Pterygoid pillar
4. Condylar pillar

Correct answer: 4. Condylar pillar